The drug of choice in treatment of typhoid fever in pregnancy is -
1. Ampicillin
2. Chloramphenicol
3. Ciprofloxacin
4. Ceftriaxone

Correct answer: 4. Ceftriaxone

Explanation: Fluoroquinolones and third-generation cephalosporins are the preferred treatment for typhoid and in pregnancy the latter is given. Typhoid vaccines appear to exert no harmful effects when administered to pregnant women and should be given in an epidemic or before travel to endemic areas.